Premature exfoliation of the primary mandibular
canine is the most often the sequelae of which of the following:
1. Caries
2. Trauma
3. Serial tooth extraction
4. Arch length inadequacy

Correct answer: 4. Arch length inadequacy